Myentric plexus is present in
1. Muscularis externa
2. Submucosa
3. Mucosa
4. Serosa

Correct answer: 1. Muscularis externa

Explanation: Between the circular and longitudinal muscle layer lies the Auerbach plexus/ Myenteric plexus.